Endometriomas on ultasound appear as
1. Solid with diffuse internal low-level echoes.
2. Solid with focal internal low-level echoes.
3. Cystic with diffuse internal low-level echoes.
4. Cystic with focal hyperechoic internal echoes.

Correct answer: 3. Cystic with diffuse internal low-level echoes.

Explanation: Endometrioma  classically is cystic with homogenous, low-level internal echoes, i.e ground-glass echogenicity.